Which one of the following androgen is not produced by Leydig cells of testis?
1. Testosterone
2. Androstenedione
3. Dihydrotestosterone
4. Dehydroepiandrostenedione

Correct answer: 3. Dihydrotestosterone

Explanation: Dihydrotestosteronean androgenic hormone formed in peripheral tissue from testosterone; thought to be the androgen responsible for development of the male primary sex characters during embryogenesis and of male secondary sex characters at puberty, and for adult male sexual function.Ref: Ganong's review of medical physiology;24th edition; page no:-423